What is implied, if a drug has more renal clearance than the GFR :
1. Drug is reabsorbed in the tubules
2. Drug is secreted in the tubules
3. Drug is excreted in bile
4. Drug is neither secreted, nor resorbed.

Correct answer: 2. Drug is secreted in the tubules

Explanation: Ans. is 'b' i.e. Drug is secreted in the tubules Logically, if a drug is more in renal clearance than the amount filtered by glomerulus, it has to be secreted in the kidney tubules." Tubular secretion - is the active transfer of organic acids and bases by two separate nonspecific mechanism which operate in the proximal tubules. If renal clearance of a drug is greater than 120 ml/min (g.f.r.), additional tubular secretion can be assumed to be occuring "Soif renal clearance is more than G.F.R.* - Tubular secretionIf renal clearance is less than G.F.R. * - Tubular reabsorption.If renal clearance is equal to G.F.R.* - The drug does not undergo either tubular sec. or tub. reabsorption.